In transverse fracture of the patella, the treatment is
1. Excision of a small fragment
2. Wire fixation
3. Plaster cylinder
4. Patellectomy

Correct answer: 2. Wire fixation

Explanation: B i.e. Wire fixation